Best site for taking biopsy for HSV esophagitis is:
1. Edge of ulcer
2. Base of ulcer
3. Adjacent indurated area around ulcer
4. Surrounding normal mucosa

Correct answer: 1. Edge of ulcer

Explanation: - Biopsy should be taken from: Edge of ulcer in HSV esophagitis Base of ulcer in CMV esophagitis